Meckel's diverticulum is patent of
1. Vitello intestinal duct
2. Urachus
3. Oganic diaphragm
4. None

Correct answer: 1. Vitello intestinal duct

Explanation: .Sometimes there may be a patent vitello-intestinal duct or a Meckel's diverticulum, which may require resection along with the bowel segment.Intestinal end may remain patent forming Meckel's diverticulum, which may be attached to umbilicus with a fibrous band. Meckel's diverticulum itself can cause diverticulitis, obstruction. ref:SRB's manual of surgery,ed 3,pg no 798